What is meant by Superfecundation?
1. Fertilization of two or more ova in one intercourse
2. Fertilization of two or more ova in different intercourses in same menstrual cycle
3. Fertilization of ova and then it's division
4. Fertilization of second ovum first being implanted

Correct answer: 2. Fertilization of two or more ova in different intercourses in same menstrual cycle

Explanation: * Superfecundation is the fertilization of two or more ova from the same cycle by sperm from separate acts of sexual intercourse, which can lead to twin babies from two separate biological fathers. * The term superfecundation is derived from fecund, meaning the ability to produce offspring REF : DUTTA BOOK OF OBESTETRICS